An 8-month-old boy has Impalpable undescended testes, whats the next step in management?
1. Reassurance
2. USG andomen and scrotum
3. MRI abdomen
4. Laparoscopy

Correct answer: 4. Laparoscopy

Explanation: At birth, 4% of full-term boys have unilateral or bilateral undescended testes, but after 3 months of age the incidence is <1% and it changes little thereafter. So no role for reassuranceImpalpable undescended testes are either absent or located in the abdomen or inguinal canal. There is no benefit from imaging and these are best managed with a laparoscopy and usually a staged approach.Ref: Bailey and Love 27e pg: 125